Complication of streptokinase  a) Myocardial rupture  b)  Joint pain  c) Intracranial bleed   d) Anaphylaxis  e)  Parkinsonism
1. abc
2. bd
3. cd
4. ad

Correct answer: 3. cd